Bittu, 6-yr-old boy presents with small hypopigmented scaly macules on cheek. Some of his friends also have similar lesions. Most probable diagnosis is?
1. Pityriasis rosea
2. Pityriasis versicolor
3. Indeterminate leprosy
4. Pityriasis alba

Correct answer: 4. Pityriasis alba

Explanation: P. Alba Occurs predominantly in children( 3-16 years). Both sexes are equally susceptible. C/f: Lesion is rounded, oval or irregular plaque, which is red, pink or skin-coloured and has fine lamellar or branny scaling. - Initially erythema with minimal crusting, later erythema subsides and only show persistent fine scaling with hypopigmentation. - History of atopy present. - Sensation intact. P. Versicolor: Scaly macule. Seen on upper trunk and shoulders commonly. Indeterminate leprosy: Non scaly Epidermal atrophy Anesthesia P. Rosea: Herald patch Collarette scaling Secondary syphilis like lesions.